Advantage of salmeterol over salbutamol is its :
1. Shorter duration of action
2. More potency
3. Longer duration of action
4. Lesser cardiac effects

Correct answer: 3. Longer duration of action